Following is transmitted as autosomal dominant disorder -
1. Albinism
2. Sickle cell anemia
3. Hereditary spherocytosis
4. Glycogen storage disease

Correct answer: 3. Hereditary spherocytosis

Explanation: Ans. is 'c' i.e., Hereditary spherocytosis o Hereditary spherocytosis is an autosomal dominant disorder,o Other three disorders (given in question) are autosomal recessive.Autosomal dominant disordersNervousUrinaryGITHematologicalSkeletalMetabolico Huntington diseaseo Polycystic kidneyo Familial polyposis colio Heriditary sph-erocytosiso Marfan synd-romeo Familial hypercho-lesterolemiao Neurofibro-matosis o Gardner's syndromeo Von-Willibrand diso EDS (some variant)o Acute intermittent porphyriao Myotonic dys-trohy o Turcot's syndrome o Osteogenesis imperfecta o Tuberous scle-rosis o Lynch syndrome o Achondroplasia o Retinoblastoma o Peutz Jagher's syndrome o Juvenile polyposis